Examples of PRION disease include -
1. Creutzfeldt-Jakob disease
2. Subacute sclerosing panencephalitis
3. Alzheimer's disease
4. None of the above

Correct answer: 1. Creutzfeldt-Jakob disease